Gemcitabine is effective in -
1. Head and neck cancers
2. Pancreatic cancer
3. Small-cell lung cancer
4. Soft tissue sarcoma

Correct answer: 2. Pancreatic cancer

Explanation: Ans. is 'b' i.e., Pancreatic cancer o Gemcitabine is the DOC for pancreatic carcinoma.